True regarding the rubens valve is
1. Is a non-rebreathing valve
2. Will not allow spontaneous respiration
3. Is a pressure reducing valve
4. May jam in expiratory position

Correct answer: 1. Is a non-rebreathing valve

Explanation: Rubens valve is a non – rebreathing valve used in self inflating resuscitation bags. It jams in inspiratory position occasionally. It allows spontaneous breathing .